Triangular relation of Elbow is maintained in
1. Fracture ulna
2. Anterior dislocation of Elbow
3. Posterior dislocation of Elbow
4. Supracondylar fracture

Correct answer: 4. Supracondylar fracture

Explanation: D i.e. Supracondylar fracture